Deficit in weight for height in a 3 years old child indicates-
1. Acute malnutrition
2. Chronic malnutrition
3. Concomittant acute and chronic
4. Under weight

Correct answer: 1. Acute malnutrition

Explanation: Reduced Weight for height indicate acute malnutrition. Weight reflect only the present health status. REF. PARK'S TEXTBOOK OF PREVENTIVE AND SOCIAL MEDICAL 21ST EDITION. PAGE NO - 502